The drug of choice in obessive compulsive disorder is which one of the following-
1. Sertraline
2. Amoxapine
3. Hydroxyzine
4. Alprazolam

Correct answer: 1. Sertraline

Explanation: Ans. is 'a' i.e., Sertraline